Not true about herpetic keratitis –
1. Stromal Keratitis
2. Dendritic Ulcer
3. Corneal guttata
4. Disciform Keratitis

Correct answer: 3. Corneal guttata

Explanation: Herpes keratitis include

i)    Epithelial keratitis:- Corneal vesicles, superficial punctate keratitis, dendritic ulcer, geographic (amoeboid) ulcer.
ii)  Stromal keratitis:- Disciform keratitis, necrotic keratitis.
iii) Metaherpatic keratitis.

Corneal guttata is congenital corneal dystrophy.